Vitamin B12 and bile salts are decreases in the resection of
1. Stomach
2. Duodenum
3. Jejunum
4. Ileum

Correct answer: 4. Ileum

Explanation: i.e. (Ileum): (1157-Love & Baily 25th) (625-26-CSDT-l31) JEJUNUMILEUMNormalGeneralized transport of water, electrolytes, sugars proteins, fats, vitamins Most absorption occurs proximallyLocalized transport of bilesalts, cholesterol, vitamin BResection* Generalized transport work load assumed by ileum* Localized transport unaffected* No malabsorption* Generalized transport continues* Localized transport lost* Malabsorption of vitamin B 12, cholesterol bile salts andfats***Steatorrhea, diarrhea, megaloblastic anemia and malnutrion are the hall marks of Blind loop syndrome